Tear drop cell together with leukoerythroblast seen in ?
1. Megaloblastic anemia
2. Iron deficiency anemia
3. Aplastic anemia
4. Primary myelofibrosis

Correct answer: 4. Primary myelofibrosis

Explanation: Ans. is 'd' i.e., Primary myelofibrosisPrimary Myelofibrosis :?The hallmark of primary myelofibrosis is the development of obliterative marrow fibrosis. The chief pathologic feature is the extensive deposition of collagen in the marrow by non-neoplastic fibroblasts. It is probably caused by the inappropriate release of fibrogenic factors; platelet-derived growth factor and TGF-fl from neoplastic megakaryocytes.Marrow distortion leads to the premature release of nucleated erythroid and early granulocyte progenitors (leukoerythroblastosis) in peripheral blood.Teardrop-shaped red cells (dacryocytes), cells that were probably damaged during the birthing process in the fibrotic marrow, are also often seen in peripheral blood.